An obese lady aged 45 years, was brought to emergency in a semi comatose condition. The laboratory investigations showed K+ (5.8 mmol/L); Na+ (136 mmol/L); blood pH (7.1), HCO3 (12 mmol/L),' ketone bodies (350 mg/dl). The expected level of blood glucose for this lady is:
1. < 45 mg/dl
2. < 120 mg/dl
3. >180 mg/dl
4. < 75 mg/dl

Correct answer: 3. >180 mg/dl

Explanation: Answer is C (> 180 mg/dL); `The patient in question is a case of diabetic Ketoacidosis. Diabetic Ketoacidosis is associated with serum glucose levels between 250-300 mg/dl'